Roth's spots are found in
1. Acute rheumatic fever
2. Congestive cardiac failure
3. Infective endocarditis
4. Restrictive cardiomyopathy

Correct answer: 3. Infective endocarditis

Explanation: White-centered retinal hemorrhages (Roth's spots) are considered pathognomonic for subacute bacterial endocarditis, but they also appear in leukemia, diabetes, and many other conditions. Endophthalmitis also occurs as a complication of ocular surgery, occasionally months or even years after the operation. ( Harrison's principle of internal medicine,18th edition,pg no. 230)